Treatment of pseudocyst of pancreas include -a) Cystogastrostomyb) Cystojejunostomyc) Cystocolostomyd) Excision of the cyste) All of the above
1. abd
2. bcd
3. abc
4. ab

Correct answer: 1. abd